Which of the following is the mechanism of action of IOP reduction of carbonic anhydrase inhibitors?
1. Increase uveoscleral outflow
2. Increase trabecular meshwork outflow
3. Decrease aqueous production
4. All of the above

Correct answer: 3. Decrease aqueous production

Explanation: CA inhibitor: MOA- Inhibition of carbonic anhydrase isozymes present in ciliary processes of the eye with the consequent reduction of bicarbonate and aqueous humor secretion. Acetazolamide- (oral), Dorzolamide & Brinzolamide(topical). Mechanism of action: Decrease Aqueous Humor production. Oral CA inhibitors are Rapidly acting drug, can be used to terminate acute attack. S/E: Kidney stone, hypokalemia, acidosis, adrenal gland, renal failure . is an emergency drug & should not be answered as DOC for any type of glaucoma.